The most effective method of reduction of incidence of institutional pediatric staphylococcus aureus infection is __________
1. Mask and gloves use with each suspected patient
2. Meticulous handwashing before and with patients
3. Treatment of all culture Positive patients with vancomycin
4. Routine isolation of culture Positive

Correct answer: 2. Meticulous handwashing before and with patients

Explanation: S.aureus is transmitted primarily by direct contact. Strict attention to handwashing techniques is the most effective measure for preventing the spread of staphylococci from one individual to another. Use of a hand wash containing chlorhexidine or alcohol is recommended. Reference: Nelson textbook of pediatrics 19th edition Page 908